Ductus arteriosus closes in response to:
1. Decrease in peripheral oxygen saturation
2. Indomethacin therapy
3. Prostaglandin E1
4. Increase in pulmonary vascular resistance

Correct answer: 2. Indomethacin therapy

Explanation: b. Indomethacin therapy(Ref: Nelson's 20/e p 2197, Ghai 8/e p 417)Indomethacin, a Prostaglandin inhibitor is used in medical closure of Ductus arteriosus.